Nerve of 6'h arch is ?
1. Superior laryngeal nerve
2. Internal laryngeal nerve
3. External laryngeal nerve
4. Recurrent laryngeal nerve

Correct answer: 4. Recurrent laryngeal nerve

Explanation: Ans. is 'd' i.e., Recurrent laryngeal nerve Nerve of 4th and 6th arches is vagus nerve, which is distributed.Through superior laryngeal nerve for 4th arch derivatives.Through recurrent laryngeal nerve for 6th arch derivatives